Adenoidectomy is contraindicated in
1. SOM
2. CSOM
3. Bleeding disorder
4. None

Correct answer: 3. Bleeding disorder

Explanation: Adenoidectomy contraindicated in 1. Bleeding disorder 2. Acute infection of upper respiratory tract 3. Cleft palate or submucous palate Re: Textbook of Ear, Nose and Throat, Dhingra, 6th Edition; Pg no: 431